Which of the following variables is measured on the Ordinal scale?
1. Type of anemia
2. Severity of anemia
3. Hemoglobin level
4. Serum ferritin level

Correct answer: 2. Severity of anemia

Explanation: Scale of measurement: 1. CATEGORICAL SCALE - Include Nominal & Ordinal scales 2. DIMENTIONAL SCALE - Include Metric scale Nominal scale Ordinal scale Metric scale Definition Based on NOM (names); no specific order Based on ORD (order); grading into categories Based on ME (measurement); in terms of quantities Examples Race, Religion, Country of birth, Clinical features, Sites of lymphadenopathy, Sex of child, Type of anemia, ABO blood group, Site of malignancy TNM staging (cancers) ,Severity of a disease, Social classes Blood glucose, Hemoglobin level, Serum cholesterol, Weight, Height, Mid-arm circumference ,Blood pressure, Pulse rate, Temperature (degC, degF, K) scale